Which of the following are true about tetanus -a) Gram -ve spore forming aerobe b) Because of tetanospasminc) Muscle enzymes are normald) Vegetative cell will die with tetracyclinee) Muscle spasms seen
1. ab
2. ad
3. bc
4. be

Correct answer: 4. be